Diameter of engagement in face presentation is :
1. Submentobregmatic
2. Submentooccipital
3. Biparietal
4. Bitemporal

Correct answer: 1. Submentobregmatic

Explanation: Submentobregmatic